Most common extra - axial intracranial tumor
1. Schwannoma
2. Lipoma
3. Meningioma
4. Arachnoid cyst

Correct answer: 3. Meningioma

Explanation: Meningioma is the most common extra - Axial intracranial tumor.
Most common intra - Axial intracranial tumor is Glioma.